Universal finding in Asthma is
1. Hypoxia
2. Hypercarbia
3. Respiratory acidosis
4. Metabolic Acidosis

Correct answer: 1. Hypoxia

Explanation: Answer is A (Hypoxia) Hypoxia is a universal finding during acute exacerbation's Hypoxia is a universal finding during acute exacerbations. Most Asthmatics have hypocapnia and respiratory alkalosis. - Harrison Hvpoxia is the universal finding in Asthma Hypocapnia and respiratory alkalosis is seen in most asthmatic patients Hypercarbia and Respiratory acidosis are very late features of Asthma and sign severe obstruction and respiratory failure. These are not universal findings in Asthma. Metabolic acidosis is not a feature of Asthma.